The immediate precursor in the formation of acetoacetate from acetyl CoA in the liver is
1. Mevalonate
2. HMG CoA
3. Acetoacetyl CoA
4. 3-Hydroxybutyryl

Correct answer: 2. HMG CoA

Explanation: HMG CoA 


Acetoacetyl-CoA is the starting material for ketogenesis.



However, it is HMG-CoA from which acetoacetate arises.